Commonest benign tumour of heart is -
1. Adenoma
2. Myxoma
3. Myoma
4. Mabdomyosaxoma

Correct answer: 2. Myxoma